Prevalence of HIV infection in antenatal women is less than 1% and in high risk population is less than 5%. The state belongs to ?
1. Group I
2. Group II
3. Group III
4. Group IV

Correct answer: 3. Group III

Explanation: Ans. is `c' i.e., Group III Based on sentinel surveillance data HIV prevalence in adult population can be broadly classified in three groups of state / UT sin the country.